The most common complication seen in a hiatus hernia is
1. Esophagitis
2. Aspiration pneumonitis
3. Volvulus
4. Esophageal stricture

Correct answer: 1. Esophagitis